Which of the following increases the prevalence of the disease-
1. Immigration of healthy people
2. Increase in cure rates
3. Decrease in the number of new cases
4. Increase in duration of disease

Correct answer: 4. Increase in duration of disease

Explanation: Ans. is 'd' i.e. Increase in duration of disease Prevalence refers "to all current cases (old + new) existing at a given point in time (point prevalence) or over a period of time (period prevalence) in a given population"It thus includes all the new cases, as well as those old persisting cases.